All are Characteristic of SAPHO syndrome except
1. Synovitis
2. Acne
3. Pustulosis
4. Hyperpigmentation

Correct answer: 4. Hyperpigmentation

Explanation: The syndrome of synovitis, acne, pustulosis, hyperostosis, and osteitis (SAPHO) characterized by a variety of skin and musculoskeletal manifestations. Dermatologic manifestations include palmoplantar pustulosis, acne conglobate, acne fulminans, and hidradenitis suppurativa. Reference: Harrison's Principles of Internal Medicine; 19th edition; Chapter 385; Vasculitis Syndromes